Warthin-Finkeldey cells are seen in -
1. Mumps
2. Measles
3. Chromblastomycosis
4. Sporotrichosis

Correct answer: 2. Measles

Explanation: Ans. is 'b' i.e., Measles * Multinucleated giant cells with inclusion bodies in the nucleus and cytoplasm (Warthin-finkeldey cells) are found in respiratory and lymphoid tissue - Pathognomonic for measles.